Sterile pyuria may occur due to:
1. Lignocaine
2. Paracetamol
3. Phenytoin
4. Cocaine

Correct answer: 2. Paracetamol

Explanation: Ans. B: Paracetamol Pyuria refers to urine which contains pus. It is defined as the presence of 10 or more neutrophils per high power field of unspun, voided mid-stream urine. Sterile pyuria is urine which contains white blood cells (pus) while appearing sterile by standard culture techniques. Sterile pyuria is listed as a side-effect from some medications such as paracetamol (acetaminophen).